Which of the following structures are involved in Buerger's disease?
1. Arteries only
2. Veins only
3. Arteries and Veins
4. Arteries, veins and nerves

Correct answer: 4. Arteries, veins and nerves

Explanation: Buerger's disease is a progressive non-atherosclerotic segmental inflammatory disease that most often affects small and medium-sized arteries, veins, and nerves of the upper and lower extremities. Pathologically, thrombosis occurs in small to medium-sized arteries and veins with associated dense polymorphonuclear leukocyte aggregation, microabscesses, and multinucleated giant cells. It usually affects young male smokers. Patients develop calf claudication and eventually ischemic rest pain and ulcerations on the toes, feet, or fingers. Angiography shows 'cork screw' shaped collaterals. Ref: Schwartz's Principles of Surgery, 9e, Chapter 23.